Which of the following procedures does not need dilatation of the pupil?
1. Laser inferometry
2. Retionoscopy
3. Fundus examination
4. Gonioscopy

Correct answer: 4. Gonioscopy

Explanation: Ans. (d) GonioscopyRef: Khurana 4/e, p. 546Gonioscopy is examination of the anterior chamber angles. In it pupil dilation is not needed, in fact dilation of the pupil can hamper proper visualization of the angle structures.All other options need pupil dilation (although they can also be done without dilation)